Which of the following syndrome is associated with Anosmia?
1. Kallmann's syndrome
2. Turners syndrome
3. Downs syndrome
4. Klinefelter's syndrome

Correct answer: 1. Kallmann's syndrome

Explanation: Ans. (a) Kallmann's syndromeRef: Differential Diagnosis in Otolaryngology: Head and Neck surgery edited by Michael Stewart, Samuel Selesnick